The most common type of lung carcinoma in non- smokers
1. Squamous cell carcinoma
2. Adenocarcinoma
3. Small cell carcinoma
4. Large cell carcinoma

Correct answer: 2. Adenocarcinoma

Explanation: Adenocarcinomas often occur in more peripheral lung locations Most common type of lung cancer occurring in non smokers.